PG F-2d contrandicated is in:
1. Bronchial asthma
2. DM
3. Twins
4. HT

Correct answer: 1. Bronchial asthma

Explanation: PG F-2d is never used in asthmatic patients.

"Postpartum hemorrhage is treated with oxytocin or PGE2. Prostaglandin F-2a or ergotamine derivatives are contraindicated because they may cause significant bronchospasm."

—Williams 24/e, p 1015
Remember: In asthmatic patients PGE2 is not contraindicated and can be used for cervical ripening and induction.